Wood's lamp light is used in the diagnosis of –
1. Tinea capitis
2. Candida albicans
3. Histoplasma
4. Cryptococcus

Correct answer: 1. Tinea capitis